Cofactor for xanthine oxidase:
1. Zinc
2. Copper
3. Molybdenum
4. Selenium

Correct answer: 3. Molybdenum

Explanation: Cu - required for all Oxidases e.g. Cytochrome c Oxidase Tyrosinase Ascorbic acid Oxidase Amino acid Oxidase Lysyl Oxidase and also for Cytoplasmic SOD (Super Oxide Dismutase) Two oxidases do not require Cu, instead, they require Molybdenum. These are: Xanthine Oxidase Sulfite Oxidase All Kinases need Mg2+(BUT Pyruvate Kinase need K+>> Mg2+) All Carboxylases and synthetases also need Mg2+ Cytoplasmic SOD requires copper WHEREAS Mitochondrial SOD requires Manganese(Mn)